The following drug has maximum propensity to cause peripheral neuropathy-
1. Didanosine
2. Zidovudine
3. Stavudine
4. Lamivudine

Correct answer: 3. Stavudine

Explanation: Ans. is 'c' i.e., Stavudine Peripheral neuropathy occurs upto 71% of patients with stavudine monotherapy, while it occurs in 20% of patients with didanosine therapy. o Lamivudine and zidovudine do not cause peripheral neuropathy.